A wave in JVP is absent in:
1. Atrial fibrillation
2. Heart block
3. Tricuspid regurgitation
4. Complete heart block

Correct answer: 1. Atrial fibrillation

Explanation: Ans. (a) Atrial fibrillationRef: Harrison 19th ed. /1443-1444* A wave in JVP is due to atrial contraction. In atrial fibrillation, since the atria are twitching, the power of atria is reduced to a level that a wave would be absent.* Heart block will have large a waves.* Tricuspid Regurgitation has absent x and large v waves.* Constrictive Pericarditis has a large y descent.